In a slow sand filter ,the element responsible for yielding bacteria freewater is the
1. Valve
2. Vital layer
3. Supernatant water
4. Under drainage system

Correct answer: 2. Vital layer

Explanation: SLOW SAND OR BIOLOGICAL FILTERS Slow sand filters were first used for water treatment in 1804 in Scotland and subsequently in London. During the 19th century their use spread throughout the world. Even today, they are generally accepted as the standard method of water purification. Elements of a slow sand filter Essentially these consists of : (1) supernatant (raw) water (2) a bed of graded sand (3) an under-drainage system; and (4) a system of filter control valves. Vital layer : When the filter is newly laid, it acts merely as a mechanical strainer, and cannot truly be considered as "biological". But very soon, the surface of the sand bed gets covered with a slimy growth known as "Schmutzdecke", vital layer, zoogleal layer or biological layer. This layer is slimy and gelatinous and consists of threadlike algae and numerous forms of life including plankton, diatoms and bacteria. The formation of vital layer is known as "ripening" of the filter. It may take several days for the vital layer to form fully, and when fully formed it extends for 2 to 3 cm into the top portion of the sand bed. The vital layer is the "heart" of the slow sand filter. It removes organic matter, holds back bacteria and oxidizes ammoniacal nitrogen into nitrates and helps in yielding a bacteria-free water. Until the vital layer is fully formed, the first few days filtrate is usually run to waste. Ref: Park 25th edition Pgno : 751